Angiotensin H causes all of the following, Except:
1. Stmulation of Thirst
2. Increased ADH secretion
3. Vasodilatation
4. Aldosterone secretion

Correct answer: 3. Vasodilatation

Explanation: C i.e. Vasodilatation Angiotensin II increases secretion of ADH, (Vasopressin), ACTH, Aldosterone, increases thirst and vasoconstriction (most potent or '- 4-8 times more than noradrenaline on weight basis). It decreases rennin secretion.